All of the following antihistaminic agents lack anticholinergic property, except:
1. Promethazine
2. Astemizole
3. Levo-cetrizine
4. Loratidine

Correct answer: 1. Promethazine

Explanation: All the drugs listed in the question are second generation anti-histaminic agents, except promethazine.
Anticholinergic action: Many H1 blockers in addition antagonize the muscarinic actions of Ach. The antimuscarinic action can be graded as: